Which of the following has the highest pH?
1. Gastric juice
2. Bile in the gallbladder
3. Pancreatic juice
4. Saliva

Correct answer: 3. Pancreatic juice

Explanation: Gastric juice has lowest pH among the given options. Primary salivary secretion has a pH little below 7 {6.35-6.85}; after ductular modification, that is HCO3- is added, pH increases up to 8. Pancreatic juice has a pH of about 8-8.3. Gallbladder bile has a pH of about 6.